All the statement about lactoferrin are true, EXCEPT:
1. It has great affinity for iron
2. It transports iron for erythropoiesis
3. It is present in exocrine secretions of body
4. It is present in secondary granules of neutrophils

Correct answer: 2. It transports iron for erythropoiesis

Explanation: Transport of iron for erythropoesis is done by transferin and not by Lactoferin. Lactoferrin is closely related in structure to plasma iron transport protein transferrin, and binds to excess iron. It prevents the growth of bacterial and viral microorganism and tumors which require iron for its growth. Lactoferrin a bioactive glycoprotein, is one of the body's most powerful immunodefensives. It is found in breast milk, body fluids such as saliva, tears, nasal secretions, intestinal fluids such as bile and secondary granules of neutrophils. Ref: Colostrum: Nature's Gift to The Immune System By Beth M. Ley-Jacobs, Pages 23-4.